Which of the following is the most effective intravesical therapy for superficial bladder cancer?
1. Mitomycin
2. Adriamycin
3. Thiotepa
4. BCG

Correct answer: 4. BCG

Explanation: Ans. is 'd' i.e. BCG